Bacteria that can grow even in the presence of antiseptic-
1. Staphylococcus
2. Streptococcus
3. E. coli
4. Pseudomonas

Correct answer: 4. Pseudomonas

Explanation: Ans. is 'd' i.e., Pseudomonas o Cetrimide and dettol (antiseptics) have been incorporated in the media for the selective isolation of pseudomonas.